What is not seen in undescended testis?
1. Hydrocele
2. Hernia
3. Teratoma
4. Seminoma

Correct answer: 1. Hydrocele

Explanation: ASSOCIATED ANOMALIES WITH UNDESCENDED TESTIS Epididymal anomalies and patent processus vaginalis upto 90% cases of UDT. Renal Anomalies in 10% cases (renal hypoplasia, agenesis, horse shoe kidney, PUJ obstruction) Hypospadias Hazards: (SATHI - Sterility, Atrophy, Trauma, Tumor, Torsion, Hernia, Inflammation) Neoplasia Relative risk of testicular tumor is increased 17 times. MC tumor that develops is seminoma. Infertility Histopathological changes start at 1 year. At 6-8 years, spermatogenesis is absent. Endocrine functions are retained as the Leydig cells are less sensitive to temperature. Surgical repositioning before the onset of histopathological changes decreases the risk of subfertility. Hernia: Patient processus vaginalis is seen in 90% cases of UDT. Torsion: Increased susceptibility DIAGNOSIS: Inguinal exploration is IOC for UDT.